LVH is commonly seen with -
1. Pure mitral stenosis
2. ASD with fossa-ovalis
3. Aortic incompetance
4. Carcinoid syndrome

Correct answer: 3. Aortic incompetance